A 60 years old diabetic male developed renal failure. The family belonged to lower middle class, was not able to afford hemodialysis frequently. Chronic ambulatory peritoneal dialysis (CAPD) was being performed. After 4 months of CAPD, the patient developed peritonitis. What is the most common organism responsible?
1. Staph. aureus
2. Staph. epidermidis
3. E. coli
4. Bacteroides

Correct answer: 2. Staph. epidermidis

Explanation: CAPD: Continuous Ambulatory Peritoneal Dialysis Catheter MC colonised by: Staph epidermidis Rx: First gen cephalosporins catheter Recurrent attacks: change the catheter